Lack of a specific lysosomal hydrolase for glycoproteins will most likely cause
1. oligosaccharidoses
2. I cell disease
3. scurvy
4. Ehlers danlos syndrome

Correct answer: 1. oligosaccharidoses

Explanation: Lack of a specific lysosomal hydrolase for glycoproteins cause a group of very rare.autosomal recessive genetic disease called glycoprotein storage diseases(oligosaccharidoses). Lysosomal acid hydrolases are specific for the removal of the component of the glycoprotein. They are primarily exoenzyme that remove their respective groups in sequence in the reverse order of their incorporation Reference: Lippincotts illustrated biochemistry 6th Edition pg 320